More false positive cases in a community signifies that the disease has:
1. High prevalence
2. High sensitivity
3. Low prevalence
4. Low sensitivity

Correct answer: 3. Low prevalence

Explanation: Ans. C i.e. Low prevalence